Bull's eye lesion in the macula is seen with : a) Chloroquine b) Hydroxychloroquine c) Quinine d) Sulfamethoxazole e) Primaquine
1. c
2. ab
3. ac
4. bd

Correct answer: 2. ab